Superantigen include all, except:
1. TSST
2. Exfoliative toxin
3. Pyrogenic exotoxin
4. Cholera toxin

Correct answer: 4. Cholera toxin

Explanation: Superantigens are certain proteinmolecules that activate very large number of T cells irrespective of antigenic specifities
They bind directly to lateral aspect of TCR β chain and activate upto 20% of the circulating T cells compared to conventional (0.001%) causing multisystem dysfunction.
Examples :
Toxic shock syndrome toxin
Exfoliative toxin
Staphylococcal anterotoxin
Pyrogenic exotoxin